All of the following are features of prematurity in a neonate, except:
1. No creases on sole
2. Abundant lanugo
3. Thick ear cartilage
4. Empty scrotum

Correct answer: 3. Thick ear cartilage

Explanation: c. Thick ear cartilage(Ref: Nelson's 20/e p 789-791, Ghai 8/e p 138-140)The ears in a premature neonate are soft and flat with ear cartilage being deficient and pliant (and not thick)